Which of the following is difficult to visualize or examine on Indirect laryngoscopy
1. True vocal cord
2. Anterior commissure
3. Epiglottis
4. False vocal cord

Correct answer: 2. Anterior commissure

Explanation: Structures seen in Indirect Laryngoscopy: Ref- Dhingra 6th edition, page 384.